Symptom of neuroleptic malignant syndrome -
1. Hypotension
2. Hypothermia
3. Increased Magnesium level in blood
4. Catatonia and stupor

Correct answer: 4. Catatonia and stupor

Explanation: Ans. is 'd' i.e., Catatonia and stupor Features of neuroleptic malignant syndromeo Marked muscular rigidityo Disturbed consciousnesso Increased CPKo High fevero Catatonia & stuporo Myoglobinemia & Myoglobinuriao Autonomic instability(| HR & BP, Sweating)o Leucocytosis